Episodic hypertension is a feature of
1. Carcinoid tumor
2. Insulinoma
3. Pheochromocytoma
4. Zollinger-Ellison syndrome

Correct answer: 3. Pheochromocytoma

Explanation: Classic triad: Headache + Diaphoresis+ Palpitation